A 40 year old patient, a known case of cirrhosis develops acute episode of GI bleed. Initial therapy given for 6 hours. Which of the following procedure is useful -
1. Nasogastric aspiration
2. Urgent endoscopy
3. Sedation
4. Ultrasound

Correct answer: 2. Urgent endoscopy